Acantholysis is seen in –
1. Epidermis
2. Dermis
3. Dermo–epiderm junction
4. Subcutaneous tissue

Correct answer: 1. Epidermis

Explanation: Abnormal separation of epidermal keratinocytes is referred to as acantholysis.